Pembeon sign in seen in ?
1. Retrosternal goiter
2. Grave opthalmopathy
3. Thyroid crisis
4. Addisonian crisis

Correct answer: 1. Retrosternal goiter

Explanation: Answer- A. Retrosternal goiterThe pembeon maneuver is a physical examination method that elicits manifestations of latent increased pressure in the thoracic inlet by altering arm position to fuher marrow the apeure.